Which antibodies can be detected in a patient suffering from polymyositis?
1. Anti-SSH
2. Anti-Scl70
3. Anti-Jo1
4. Anti-ds DNA

Correct answer: 3. Anti-Jo1

Explanation: Anti-Jo1 antibody is specific for polymyositis and dermatomyositis.